To achieve a Net Reproduction Rate (NRR) of 1,the Couple Protection Rate (CPR) should be:
1. 20%
2. 30%
3. 40%
4. 60%

Correct answer: 4. 60%

Explanation: Net Reproduction Rate (NRR):- Net Reproduction Rate (NRR) is defined as the number of daughters a newborn girl will bear during her lifetime assuming fixed age-specific fertility and mortality rates (21) . NRR is a demographic indicator. NRR of 1 is equivalent to attaining approximately the 2-child norm. TheNational Health Policy was approved by the Parliament in 1983. It laid down the long- term demographic goal of NRR= 1 by the year 2000 - which implies a 2-child family norm - through the attainment of a birth rate of 21 and a death rate of 9 per thousand population, and a couple protection rate-of 60 per cent by the year 2000. Ref:- park ; pg num:-540, 569